Minimal Babinski is
1. Contraction of Hamstring muscles
2. Contraction of Adductor muscles
3. Flexion at hip
4. Flexion at knee

Correct answer: 1. Contraction of Hamstring muscles

Explanation: (A) Contraction of Hamstring muscles # True BABINSKI SIGN - includes all the components of the fully developed extensor plantar response.> Minimal Babinski sign - is characterised by contraction of the hamstring muscles and the tensor fasciae latae which can be detected by palpation of the thigh.> Spontaneous Babinski sign - is encountered in patients with extensive pyramidal tract lesions. Passive flexion of the hip and knee or passive extension of the knee may produce a positive Babinski sign in adults, as may foot manipulation in infants and children.> Crossed extensor response/bilateral Babinski sign - may be encountered in cases with bilateral cerebral or spinal cord disease. Unilateral foot stimulation elicits a bilateral response in such cases.> Tonic Babinski reflex - is characterised by a slow prolonged contraction of the toe extensors. It is encountered in patients with combined frontal lobe lesions and extrapyramidal involvement.> Exaggerated Babinski sign - may take the form of a flexor or extensor spasm. Flexor spasms can occur in patients with bilateral UMN lesion at the supraspinal or spinal cord level. Extensor spasms can occur in patients with bilateral corticospinal tract lesion but preserved posterior column function.> Babinski mimickers: 1. Pseudo Babinski sign 2.Inversion of plantar reflex 3. Withdrawal response> Pseudo Babinski sign: This sign may be encountered in patients with choreoathetosis where the upgoing toe is a manifestation of hyperkinesia.